Regarding Clostridium perfringes gas gangrene false is
1. Common cause of gas gangrene
2. Nagler reaction positive
3. Most common toxin is hyaluronidase
4. Food poisoning of Clostridium perfringens produces heat resistant spores

Correct answer: 3. Most common toxin is hyaluronidase

Explanation: Clostridium perfringens produces an alpha-toxin which is the most important toxin that is responsible for the profound toxemia of gas gangrene. Reference: Textbook of Microbiology; Anathanarayan and paniker's; 10th edition; Page no: 259